On which of the following does aldosterone exert its greatest effect:
1. Glomerulus
2. Proximal tubule
3. Cortical collecting duct
4. Thick portion of loop of Henle

Correct answer: 3. Cortical collecting duct